Cause of salt Losing Nephropathy
1. Interstitial nephropathy
2. Maintenance phase of acute tubular necrosis
3. Post  - Streptococcal Glomerulonephritis
4. IgA nephropathy

Correct answer: 1. Interstitial nephropathy

Explanation: Causes :
Reflux Nephropathy.
Interstitial nephropathy.
Post - obstructive uropathy.
Medullary Cystic disease.
Recovery phase of ATN.